CNS tumour which is most commonly associated with HIV?
1. Lymphoma
2. Glioma
3. Astrocytoma
4. Medulloblastomas

Correct answer: 1. Lymphoma

Explanation: ANSWER: (A) LymphomaREF: Harrison's 18th ed ch:189Most common CNS tumour with HIV is primary CNS lymphomaMost common site of extra nodal non hodgkin's lymphoma in HIV: CNSPrimary CNS lymphomas are usually positive for EBVNo predliction for any age groupThe median CD4+ T cell count at the time of diagnosis is 50/ micro LCNS lymphoma. Primary CNS lymphoma generally presents with focal neurologic deficits, including cranial nerve findings, headaches, and/or seizures. MRI or CT generally reveals a limited number (one to three) of 3- to 5-cm lesions* The lesions often show ring enhancement on contrast administration and may occur in any location. Contrast enhancement is usually less pronounced than that seen with toxoplasmosis. Locations that are most commonly involved with CNS lymphoma are deep in the white matter. The main diseases in the differential diagnosis are cerebral toxoplasmosis and cerebral Chagas' disease